Adult human who are awake with mind wandering and the eyes closed. Most likely EEG pattern is
1. Alpha-rhythm
2. Beta rhythm
3. Theta rhythm
4. Delta waves

Correct answer: 1. Alpha-rhythm

Explanation: In adult humans who are awake but at rest with the mind wandering and eyes closed, the most prominent component of EEG is a fairly regular pattern of waves at a frequency of 8-13 Hz and amplitude of 50-100uV when recorded from the scalp this pattern is the alpha rhythm. Ref: Ganong's review of medical physiology;23rd edition; pg:233.